Prosthetic replacement of femoral head is indicated for one of the following sites of fractures-
1. Inter-trochanteric fracture of femoral neck
2. Subcapital fracture neck femur
3. Transtrochanteric fracture femur
4. Basal fracture of femoral neck

Correct answer: 2. Subcapital fracture neck femur

Explanation: First, let me explain one important fact that trochanteric fractures (inter-trochantric fracture) include all the fracture in the region of the greater trochanter up to the lesser trochanter. This also includes pertrochantric, and transtrochantric fractures.

"The term trochanteric fracture may be used to describe any fracture in the region that lies between the greater and lesser trochanter. It is unnecessary to retain such terms as intertrochanteric and pertrochantric, which only lead to confusion". —Adam's

Thus; trochanteric, intertrochantric, pertrochantric and transtrochantric fractures; all are same.

Now coming to question

As already mentioned previously, both intertrochanteric (Pertrochantric / transtrochantric / trochantric) fracture and basal fracture are extrapsular, and have same treatment. These fractures are more likely to be fixed with screw and plate (Dynamic hip screw).
Fracture of the transcervical and subcapital region of the femur can cause diruption to the blood supply to the head of the femur and are, therefore, more likely to require a hemiarthroplasty which involves the replacement of the head of femur with a metal prosthesis. ______ Handbook of orthopaedics